In the revised guidelines for Behcet's disease, which criteria carries 2 points?
1. Ocular lesions
2. Pathergy phenomenon
3. Vasculitis
4. Skin lesions

Correct answer: 1. Ocular lesions

Explanation: Criteria for diagnosis of Behcet disease Sign / symptom Points Ocular lesions 2 Genital aphthosis 2 Oral aphthosis 2 Skin lesions 1 Neurological manifestations 1 Vascular manifestations 1 Positive pathergy test 1 Pathergy test is optional and the primary scoring system does not include pathergy testing. However, where pathergy testing is conducted one extra point may be assigned for a positive result. The patient has to get 3 or more points to be diagnosed/classified as having Behcet's Disease.